Corporobasal index is useful for determination of:
1. Race
2. Age
3. Stature
4. Sex

Correct answer: 4. Sex

Explanation: Corporobasal Index is an index used for testing sexual divergence based on differences between male and female sacrum. Ref: Journal of Anatomical Society of India 52(2) (2003), Pages 132-136; The Essentials of Forensic Medicine and Toxicology By Dr K S Narayan Reddy, 27th Edition, Pages 56, 57